Treatment of choice for acute anterior uveitis is
1. Local steroids
2. Systemic steroid
3. Local Nsaids
4. Systemic NSAIDS

Correct answer: 1. Local steroids

Explanation: A i.e. Topical steroid